Minimum number of mycobacteria required to be detected by AFB staining is (per ml):
1. 15-20
2. 150-200
3. 10,000
4. I Lac

Correct answer: 3. 10,000

Explanation: A presumptive diagnosis is commonly based on the finding of AFB on microscopic examination of a diagnostic specimen. At least 10,000 acid fast bacilli should be present per ml of sputum to be readily demonstrable in direct smears. A negative report should not be considered till at least 300 fields have been examined, taking about 10 minutes. A positive report can be taken only if two or more typical bacilli have been seen. Ref: Textbook of Microbiology By Ananthanarayan And Paniker, 7th edition, Page 357.